The study of the distribution and determinants of health
and related states and event a specified population and
the application of this study to the control of health problem is called
1. Entomology
2. Ecology
3. Epidemiology
4. Anthropology

Correct answer: 3. Epidemiology